Increased number of autophagic vacuoles is seen in
1. Atrophy
2. Hypertrophy
3. Hyperplasia
4. Metaplasia

Correct answer: 1. Atrophy